Ear ossicles articulate with each other through which type of joints?
1. Synostosis
2. Synovial
3. Synchondrosis
4. Syndesmosis

Correct answer: 2. Synovial

Explanation: JOINTS OF EAR OSSICLES: The incudomalleolar joint is a saddle joint The incudostapedial joint is a ball and socket joint Both of them are synovial joints.They are surrounded by capsular ligaments. Ref BDC volume 3,6th edition pg 280